On a routine radiographic exam, a well-defined radiolucent lesion was seen in the body of the mandible of a 17-year-old boy. At the time of operation, it proved to be an empty cavity. This is a(an) _____.
1. Osteoporotic bone marrow
2. Aneurysmal bone cyst
3. Odontogenic keratocyst
4. Traumatic bone cyst

Correct answer: 4. Traumatic bone cyst

Explanation: Traumatic bone cysts characteristically occur in the body of the mandible of teenagers. They are pseudocysts in that they have no epithelial lining. They are empty cavities.